World Breast feeding week is observed during
1. 2 nd week of August
2. 1 st week of June
3. 1st week of August
4. Last week of April

Correct answer: 3. 1st week of August

Explanation: Ref:Park's textbook of Preventive and Social Medicine 25 th Ed